Chlamydia trachomatis does not cause ?
1. Salpingitis
2. Vulvitis
3. Cervicitis
4. Urethritis

Correct answer: 2. Vulvitis

Explanation: Ans. is 'b' i.e., Vulvitis